Which of the following drug is not an adrenergic blocking neurone drug
1. Reserpine
2. Guanithidine
3. Bretylium
4. Minoxidil

Correct answer: 4. Minoxidil

Explanation: Refer kDT 6/e p516 Minoxidil is a medication used for the treatment of male-pattern hair loss. It is an antihypertensive vasodilator